Pleomorphism is seen in:
1. Chickenpox
2. Rubella
3. Smallpox
4. Toxocara

Correct answer: 1. Chickenpox

Explanation: (Chickenpox): Ref: (134-Park 20th)* Chickenpox shows pleomorphic rash i.e. different stages of the rash evident at one given time because rash appears in successive crops